Aspirin is useful in all the following conditions EXCEPT
1. Fever
2. Post myocardial infarction
3. Venous thrombosis
4. Gout

Correct answer: 4. Gout